Hot cold phenomenon is seen due to which toxin ?
1. Alpha lysin
2. Beta lysin
3. Gamma lysin
4. Theta lysin

Correct answer: 2. Beta lysin

Explanation: Ans. is 'b' i.e., Beta lysin